Reinsch test is used in diagnosis of poisoning due to:
1. Arsenic
2. Lead
3. Iron
4. Copper sulphate

Correct answer: 1. Arsenic

Explanation: Ans. Arsenic